Which of the following muscle is evertor of the foot?
1. Tibialis anterior
2. Flexor hallucis longus
3. Peroneus longus
4. Tibialis posterior

Correct answer: 3. Peroneus longus

Explanation: The peroneus longus everts the foot. The two tibialis muscles cause inversion. The peroneus longus and brevis areeveors of the foot. The two peronei tendons are bound down to the lateral malleolus by the superior and inferior peroneal retinacula. ... It supplies the two peronei muscles as well as the skin of the lower part of the front of the leg and that of the dorsum of the foot. Ref anatomy b. D. Chowrasya